Akathisia is treated by all except
1. Trihexyphenidyl
2. Propanolol
3. Haloperidol
4. Promethazine

Correct answer: 3. Haloperidol

Explanation: Haloperidol can cause extrapyramidal effects (dystonias, akathisia, parkinsonian features) For akathisia and dystonic reactions, many clinicians prefer to use a sedative antihistamine with anticholinergic properties, which can be given either parenterally or orally. Conventional antiparkinson drugs too can be used. Propranolol. Benzodiazepines are useful. Ref: KD Tripati 8th ed.